Weber Fechner Law is
1. Magnitude of stimulus strength perceived is approximately proportionate to the log of the intensity of stimulus strength
2. Magnitude of stimulus strength perceived is directly proportional to the intensity of stimulus strength
3. Threshold of receptor is directly proportional to stimulus strength
4. Threshold of receptor is inversely proportional to stimulus strength

Correct answer: 1. Magnitude of stimulus strength perceived is approximately proportionate to the log of the intensity of stimulus strength

Explanation: The magnitude of the sensation felt is proportional to the log of the intensity of the stimulus (Weber-Fechner law) . It now appears, however, that a power function more accurately describes this relation. In other words, R = KSA where R is the sensation felt, S is the intensity of the stimulus, and, for any specific sensory modality, K and A are constants. P = K lnS/S0 (REF: Ganong's review of medical physiology 23rd Edition page no.153)